Which of the following is called 'first immunization' of the baby?
1. OPV
2. Handing over the baby to mother
3. Colostrum
4. DPT + BCG

Correct answer: 3. Colostrum

Explanation: COLOSTRUM: Is the most suitable food immediately after birth of the baby; Regular milk comes 3-6 days after birth Aka 'Beestings', 'First milk' or 'Immune Milk'. High in carbohydrates, proteins, antibodies & low in fat Contain all five immunoglobulins found in all mammals, IgA (highest), IgD, IgE, IgG & IgM Known as 'first immunization' of newborn Energy 55 Kcal/100 ml Proteins 2 g/100 ml